The typical deformity in CTEV is -
1. Ankleequinus
2. Subtalar inversion
3. Forefoot adduction
4. All the above

Correct answer: 4. All the above

Explanation: Ans. is 'd' i.e., All the above o CTEV is the commonest and most important congenital deformity of the foot,o CTEV is more common males in than in females (males to female ratio 2-5 : 1).o In half of the cases CTEV is bilateral,o Right and left foot are affected equally,o The deformity consists of following elementsEquinus, i.e. Plantar flexion at ankle joint (tibiotalar joint)./aversion of foot at subtalar joint (talocalcaneal joint).Forefoot adduction, at mid-tarsal joints, especially at talo-navicular joint.Sometimes forefoot cavus, i.e. excessive arching of the foot at mid-tarsal joints.